Protective factors against the development of endometriosis include ALL OF THE FOLLOWING EXCEPT-
1. Multiparity
2. Lactation
3. Tobacco exposure in utero
4. Shorter menstrual cycle length

Correct answer: 4. Shorter menstrual cycle length

Explanation: Protective factors against the development of endometriosis include Multiparity Lactation Tobacco exposure in utero Diet high in vegetables and fruits. Risk factors for endometriosis: Infertility Early age at menarche Shorter menstrual cycle length Hypermenorrhea Nulliparity Mullerian anomalies Prior use of contraception or intrauterine device (IUD), or smoking is not associated with increased risk of endometriosis